Very low birth weight babies are
1. < 2500 gm of birth weight
2. < 1500 gm of birth weight
3. <1000 gm of birth weight
4. Between 2500-300 gm of birth weight

Correct answer: 2. < 1500 gm of birth weight

Explanation: Low birth weight (LBW) neonate- A neonate weighing less than 2500g at birth irrespective of the gestational age. Very low birthweight (VLBW) neonate- A neonate weighing leas than 1500g at birth irrespective of the gestational age. Extremely low birth weight (ELBW) neonate- A neonate weighing leas than 1000g at birth irrespective of the gestational age. Reference : page 125 Ghai Essential Pediatrics 8th edition